Most common tumor associated with AIDS is
1. Carcinoma
2. Kaposi's sarcoma
3. Melanoma
4. Ewing's sarcoma

Correct answer: 2. Kaposi's sarcoma